What is meant by "Suppositions child":
1. Child born out of wedlock
2. Child fictitiously claimed by a woman
3. Second born of a twin pregnancy
4. Child is born after artificial insemination homologous

Correct answer: 2. Child fictitiously claimed by a woman

Explanation: B i.e. Child fictitiously claimed by a woman Suppositious (fictitious) child is a child fictidiously claimed by a women as her ownQ